A six-year-old male baby presents to a hospital with recurrent gross hematuria for 2 years. There is no h/o burning micturition or pyuria. Urine routine examination demonstrated no pus cells and urine culture was sterile. Serum C3 levels were normal.What is the most probable diagnosis?
1. Wilm's tumor
2. IgA nephropathy
3. Post-streptococcal glomerulonephritis
4. Urinary tract infection

Correct answer: 2. IgA nephropathy

Explanation: It is a case of IgA nephropathy.

About other options

Normal levels of C3 levels in serum helps to differentiate it form post-streptococcal glomerulonephritis (in which C3 levels are reduced).
Wilm's tumor presents with mass in the abdomen whereas UTI usually presents with dysuria and routine microscope examination of urine shows pus cells.